To detect distant metastasis in pancreatic cancer the imaging modality which is BEST used is:
1. MRCP
2. Dual phase, contrast-enhanced spiral CT
3. EUS
4. Positron-emission tomography with fluorodeoxyglucose positron emission tomography

Correct answer: 4. Positron-emission tomography with fluorodeoxyglucose positron emission tomography

Explanation: Dual phase, contrast-enhanced spiral CT is the imaging modality of choice in suspected case of pancreatic cancer. ERCP is useful for revealing stricture or obstruction in pancreatic or common bile ducts, and for stent placement. MRCP is a noninvasive method for accurately depicting pancreatic duct dilatation. EUS is highly sensitive in detecting lesions less than 3 cm in size, and is useful as a local staging tool Positron-emission tomography with fluorodeoxyglucose positron emission tomography (FDG-PET) is superior to conventional imaging in detecting distant metastases. Ref: Harrison, Edition -18, Page-789